The hinge axis is an imaginary line passing through or near the
1. Centre of the external auditory meatus
2. The coronoid process
3. Centre of the condylar fossa
4. Centre of the condyle

Correct answer: 4. Centre of the condyle